Which of the following statements regarding disinfectants is not true -
1. Hypochlorites are bactericidal and inactivated by organic matter
2. Gluteraldehyde is sporicidal and not inactivated by organic matter
3. Formaldehyde is bactericidal, sporicidal and virucidal
4. Phenol is bactericidal and readily inactivated by organic matter

Correct answer: 4. Phenol is bactericidal and readily inactivated by organic matter